Pacemaker regulating the rate of respiration-
1. Pneumotaxic centre
2. Dorsal group of nucleus
3. Apneustic centre
4. Pre-Botzinger complex

Correct answer: 4. Pre-Botzinger complex

Explanation: Ans. (d) Pre-Botzinger complex(Ref: Ganong, 25th ed/p.655)Pre-Botzinger Complex - "The pacemakers of respiration"Initiates the respiratory rhythmThis complex contains six group of neurons that functions as "central pattern generator" for initiation of respirationLocated in the ventrolateral medullaRhythmically drives the discharge of phrenic motor neurons that innervate diaphragm